Achieving sexual gratification by seeing the private parts of opposite sex is seen in
1. Uranism
2. Troilism
3. Voyeurism
4. Undinism

Correct answer: 3. Voyeurism

Explanation: Voyeurism or Scoptophilia This is a perversion in which the sexual gratification is obtained by seeing the private parts of the opposite sex or watching sexual intercourse. More common in males. This is so called ''peeping Tom" According to Sec354C of IPC voyeurism is punishable. Whoever watches or capture images of a woman who is engaged in a private act, shall be punished with imprisonment up to 3 years, and in subsequent act up to 7 years. Ref: FORENSIC MEDICINE AND TOXICOLOGY Dr PC IGNATIUS THIRD EDITION PAGE 313